Most abundant type of collagen in human body
1. Type I
2. Type III
3. Type IV
4. Type VI

Correct answer: 1. Type I

Explanation: The major structural protein found in connective tissue is the collagen..It is the most abundant protein found in body. Type I is the most abundant forn , seen in connective tissues in almost all regions of the body. Type II is mainly seen in cartilage and vitreous humor. Type III is seen in skin, lung and vascular tissues and Typa IV is seen in the basement membranes. THE COLLAGEN IS SYNTHESIZED BY FIBROBLASTS INTRACELLULARLY,AS A LARGE PRECURSOR,CALLED PROCOLLAGEN.iT IS THEN SECRETED. REFERENCE: DM VASUDEVAN TEXTBOOK SEVENTH EDITION ; PAGE NO :720